Visual hallucinations is seen in :
1. Alcoholism
2. Mania
3. Depression
4. Phobia

Correct answer: 1. Alcoholism

Explanation: A. i.e. Alcololism